Rokitansky Protuberance is associated with -
1. Seminoma
2. Leomyoma
3. Dermoid cyst
4. Choriocarcinoma

Correct answer: 3. Dermoid cyst

Explanation: Ans. is 'c' i.e., Dermoid cyst Rokitansky protuberanceo The inner lining of every mature cystic teratoma (dermoid cyst) contains single or multiple white shiny masses projecting from the wall toward the center of the cysts. When hair, other dermal appendages, bone and teeth are present, they usually arise from this protuberance. This protuberance is referred to as the Rokitansky protuberanceo The Rokitansky protuberance is a common site of malignant transformation.